Cut off duration for diagnosis of Priaspism is:
1. 1 hour
2. 2 hours
3. 3 hours
4. 4 hours

Correct answer: 4. 4 hours

Explanation: Priapism: It is defined as a persistent painful erection lasting longer than 4 hours irrespective of any sexual stimulation & beyond reaching of orgasm. It is an emergency situation It is of two types: Ischemic priapism Non-ischemic priapism